Glycogen storage disorder due to muscle phosphorylase deficiency
1. Mcardle's disease
2. Pompe's disease
3. Andersen's disease
4. Tarui's disease

Correct answer: 1. Mcardle's disease

Explanation: McArdle's disease: type V glycogen storage disease.Due to deficiency of muscle phosphorylase. Incidence 1 out of 1million.Ref: DM Vasudevan, 7th edition, page no: 144